During embryological development, all of the following organs develop in the peritoneal cavity suspended on a mesentery, EXCEPT ?
1. Liver
2. Spleen
3. Kidney
4. Pancreas

Correct answer: 3. Kidney

Explanation: Kidney is a retro-peritoneal organ.During development, some organs develop in the peritoneal cavity suspended on a mesentery called as intraperitoneal organs. They include,StomachFirst part of duodenumJejunumIleumTransverse colonSigmoid colonLiver SpleenSome abdominal organs develop behind the peritoneum and are called retro-peritoneal organs. They are,KidneysUretersSuprarenal glandsRectumRef: Grant's Dissector By Patrick W. Tank, John Charles Boileau Grant, 2012, Page 99.